Middle turbinate is a -
1. Separate bone
2. Part of ethmoid
3. Part of sphenoid
4. Part of zygomatic

Correct answer: 2. Part of ethmoid

Explanation: Ans. is 'b' i.e,. Part of ethmoid o There are three turbinates in the lateral wall of the nose: superior, middle and inferior,o The inferior turbinate is a separate bone, while rest of the turbinates are a part of the ethmoidal bone.o Below and lateral to each turbinate is the corresponding meatus,o Inferior turbinate is longest one.